BOAA is-
1. Beta-oxalyl aminoalanine
2. Beta-oxalyl amino-arginine
3. Beta-oxalyl amino-arsenic
4. Beta-oxalyl amino transferase

Correct answer: 1. Beta-oxalyl aminoalanine

Explanation: (A) (Beta - oxalyl - amino-alanine) (610 - Park 22nd)NEUROLATHYRISM:* Cause is toxin - Beta-oxalyl-amino-alanine (BOAA)** found in the seeds of the pulse. L. sativus (Khesari dhal.)*** Causes gradual spastic paralysis of lower limbs.* Endemic ascitis - Caused by Pyrrolizidine alkaloidQ found in seed of Crotolaria (Jhunjhunia).* Aflatoxicosis - Caused by aflatoxin produced by fungi Aspergillus flavus & A. Parasiticus.* Epidemic dropsy - Contamination of mustard oil with argemone oil (Toxic alkaloid, sanguinarine* Ergotism - Consumption of ergot (field fungus - Claviceps fusiformis) alkaloid infested food grain.Interventions for prevention and/or control of Lathyrism:* Vitamin C prophylaxis: 500 - 1000 mg daily for a week or so repairs the damage. Damage can also be prevented by generous provision of ascorbic acid in lathyrogenic diet.* Banning the crop: PFA Act in India has banned Lathyrus in all forms whole, split or flour.* Removal of toxin> Steeping Method: Removal of toxins by soaking pulse in hot water. Drawback-loss of vitamin and minerals. Suitable in domestic setting.> Parboiling: suitable for large scale operation. Soaking pulse in lime water over-night follower by boiling destroys toxin and also trypsin inhibitors.* Education: On dangers of consuming this pulse and need for removing its toxin before consumption.* Genetic approach: Selective propagation & cultivation of strains of Lathyrus containing very low level of toxin (0.1%).* Socio-economic changes or overall development.